Disease causing modification of finger prints is:
1. Leprosy
2. HIV
3. Hypertension
4. Acromegaly

Correct answer: 1. Leprosy

Explanation: Leprosy